Cystic hygroma is seen in -
1. Turners syndrome
2. Klinefelter syndrome
3. Marfans syndrome
4. Down's syndrome

Correct answer: 1. Turners syndrome

Explanation: There may be cystic Swelling at the nape of the neck in Turner syndrome.
This due to markedly distended lymphatic Channels, producing a so-Called Cystic hygroma.